Which one of the of the following is the management of pancreatic abscess
1. Needle aspiration
2. Gastro-cystostomy
3. External drainage
4. Jejuno-cystostomy

Correct answer: 3. External drainage

Explanation: Percutaneous drainage with the widest possible drains placed under imaging guidance is the treatment,along with appropriate antibiotics Bailey & Love ,26th,1132.